Retro pharyngeal space extends up to which of the following level?
1. Base of skull to C6 vertebra
2. Base of skull to bifurcation of trachea
3. Base of skull to the level of diaphragm
4. Base of skull to cricoid cartilage

Correct answer: 2. Base of skull to bifurcation of trachea

Explanation: Ref: Gray's Anatomy, 39th edition, 200$, Page 626Explanation:"Retropharyngeal space situated behind the pharynx. It extends from the base of skull to the infrahyoid region, where it continuous with retrovisceralspace (retrovisceral space extends upto superior mediastinum/bifurcation of trachea)." Ref: Gray'sRetropharyngeal Space:It lies behind the pharynx.It is between the buccopharyngeal fascia and the alar fascia (alar fascia is the anterior layer of pre vertebral fascia).It extends upwards to the base of the skull and downwards to the retrovisceral space in the infrahyoid region.It permits the movement of the pharynx, esophagus, larynx and trachea during swallowing.The space is divided into two lateral compartments (space of Gillette) by a fibrous raphe.Each lateral space contains retropharyngeal nodes which usually disappear at 3-4 years of age.Parapharyngeal space communicates with the retrophar-vngeal space.Infection of retropharyngeal space can pass down behind the oesophagus into the posterior mediastinum.Retrovisceral SpaceThe retrovisceral space is continuous superiorly with the retropharyngeal space.It is situated between the posterior wall of the oesophagus and the prevertebral fascia.Inferiorly, the retrovisceral space extends into the superior mediastinum.Prevertebral fascia merge with the connective tissue on the posterior surface of the oesophagus - usually at the level of the 4th thoracic vertebra (i.e. bifurcation of trachea).(See Figure on the next page)